The following statement are true regarding botulism except :
1. Infant botulism is caused by ingestion of preformed toxin
2. Cl botulinum A, B, E and F cause human disease
3. The gene for botulinum toxin is coded by bacteriophage
4. Cl. baratii may cause botulism

Correct answer: 1. Infant botulism is caused by ingestion of preformed toxin